A 36 year old female with symptoms of hyperparathyroidism, tumor in pancreas, adrenal cortical hyperplasia, pituitary adenomas, islet cell tumor with cutaneous angiofibromas. What is the diagnosis ?
1. MENl
2. MEN2A
3. MEN2B
4. MEN2C

Correct answer: 1. MENl

Explanation: parathyroid hyperplasia or adenoma , islet cell hyperplasia- adenoma or carcinoma, pituitary hyperplasia or adenoma, forgot carcinoid, pheochromocytoma , subcutaneous or visceral lipomas are typical for MEN 1( Harrison 17 pg 2359)